which of the following drug binds only with the aniotic site of cholinesterase?
1. Physostigmine
2. Neostigmine
3. Edrophonium
4. Pyridostigmine

Correct answer: 3. Edrophonium

Explanation: Ref:KD Tripathi pharmacology 7th edition (page.no: 105) Edrophonium and Tacrine attach only to the anionic site and don't form a covalent bond with the enzyme. so, edrophonium is a very short-acting drug. While organophosphates attach only to the esteratic site forming a covalent bond. Carbamates (physostigmine, pyridostigmine, neostigmine) carbamylate the esteratic site of the enzyme